In extraperitoneal approach, to left sympathectomy the following may be injured ?
1. Ureter
2. Gonadal vessels
3. A+B
4. IVC

Correct answer: 3. A+B

Explanation: Ans. is 'c' i.e., A+B